An infant with severe dehydration secondary to diarrhea suddenly presents with proteins and blood in urine. The most probable diagnosis is?
1. Renal vein thrombosis
2. Pyelonephritis
3. Acute glomerulonephritis
4. Lower nephrosis

Correct answer: 1. Renal vein thrombosis

Explanation: Ans. is 'a' i.e., Renal vein thrombosis